Conjuntival adrenochrome is side effect of?
1. Adrenergic agonist
2. Carbonic anhydrase inhibitor
3. PG analogue
4. Parasympathomimetic

Correct answer: 1. Adrenergic agonist

Explanation: Ans. (a) Adrenergic agonistRef Vaughan and Asbury's Ophthalmology 17/e, chapter 11Epinephrine, external ocular side effects, including reflex conjunctival vasodilation, adrenochrome deposits, conjunctivitis, and allergic reactions.Instilled epinephrine in the eye undergoes oxidation and gets converted into a pigment of the melanin family called adrenochrome.Adrenochrome is found in lower conjunctival cul - de - sac. These deposits produce no symptoms because they are covered by squamous epithelium. However adrenochrome present in upper tarsal conjunctiva is stage horn shaped and may cause corneal abrasions. Adrenochrome may also be present on corneal epithelium in bullous keratopathy and raised IOP. Adrenochrome may last in conjunctiva for years.